In a community, an increase in new cases denotes -
1. Increase in incidence rate
2. Increase in prevalence rate
3. Decrease in incidence rate
4. Decrease in prevalence rate

Correct answer: 1. Increase in incidence rate

Explanation: ref: Park's 23rd edition pg 60 Increased incident rates shows that there is an increase in new cases of that particular disease. Incidence rate is defined as the number of NEW cases occuring in a defined population during a specified period of time.